In which phase of clinical trials, post-marketing surveillance of a drug is carried out
1. Phase I
2. Phase II
3. Phase III
4. Phase IV

Correct answer: 4. Phase IV

Explanation: Clinical trials divided into 4 phases Phase I: Human pharmacology and safety Phase II: Therapeutic exploration and dose ranging Phase III: Therapeutic confirmation/comparison Phase IV* Postmarketing surveillance/studies-during this phase or after the release of the drug into the market, ADRs are monitored through pharmacovigilance centers. Ref ;KD Tripathi pharmacology 7 th edition (page no; 80)